Which of the following Anti-leprotic drugs is not given in blister packs of NLEP?
1. Minocycline
2. Rifampicin
3. Clofazimine
4. Dapsone

Correct answer: 1. Minocycline